Which of the following is the indication for using phenyl-substituted prostaglandin F2 alpha, Latanoprost:
1. Maintenance of ductus arteriosus
2. Pulmonary hypertension
3. Gastric mucosal protection
4. Glaucoma

Correct answer: 4. Glaucoma

Explanation: Latanoprost is a derivative of PGF2 alpha that reduces intraocular pressure (IOP) by increasing uveoscleral outflow without effects on aqueous flow. It is indicated in reduction of elevated IOP in patients with open angle glaucoma, ocular hypertension and capsular glaucoma. The only apparent side effect is darkening of the pigment of the eyes, such as hazel, that are made up of multiple colors. Ref: Clinical Ophthalmology: Contemporary Perspectives By Gupta, 2009, Page 80; Desk Reference of Clinical Pharmacology, Second Edition By Manuchair S. Ebadi, 2008, Page 381; Goodman and Gillman's 11th edition, Page 1103.